Not to be used in the treatment of thrombotic thrombocytopenic purpura (TTP)-
1. Corticosteroids
2. Immunotherapy
3. Plasmapheresis
4. Platelet transfusion

Correct answer: 4. Platelet transfusion

Explanation: platelet transfusion Platelet (PLT) transfusion has been considered contraindicated in patients with thrombotic thrombocytopenic purpura (TTP). However, adverse clinical outcomes and death in patients with TTP after receiving PLT transfusion were based on case reports prior to the routine use of plasma exchange (PEX) therapy. PLT transfusions are often required by the interventional radiologist before the insertion of a central venous catheter. In this study, we evaluate whether PLT transfusions are harmful in patients with TTP undergoing PEX.